A characteristic feature of viral pneumonia is -
1. Interstitial mononuclear infiltration
2. Intra-alveolar proteinaceous exudate
3. Hyaline membrane lining alveoli
4. Fibrotic septa

Correct answer: 1. Interstitial mononuclear infiltration

Explanation: The predominant histological pattern in case of viral pneumonia is the interstitial nature of the inflammatory reaction virtually localized within the walls of the alveoli. The infiltrates are usually mononuclear cells such as lymphocytes, histocytes, plasma cells